Broadest neuroretlnal rim is seen in -
1. Sup pole
2. lnf pole
3. Nasal pole
4. Temporal lobe

Correct answer: 2. lnf pole

Explanation: The neuroretinal rim is significantly (P < 0.008) broadest in the inferior disc region followed by the superior disc region, the nasal region, and the temporal region